A women is exposed to multiple sex partners has 5 times increased risk for - CaCx The attributable risk is :
1. 20%
2. 50%
3. 80%
4. 100%

Correct answer: 3. 80%

Explanation: Ans. is 'c' i.e. 80% Attributable risk = T (Insolence of disease rate among exposed - incidence among non-exposed) /incidence rate among exposed) X 100 If the incidence of Ca CX among non-exposed = x then the incidence among exposed= 5xAR = ((5x - x)/5x) x 100 = 4/5 x 100= 80%